P : O ratio for FAD is -
1. 3
2. 2[?]5
3. 1[?]5
4. 4

Correct answer: 3. 1[?]5

Explanation: Ans. is 'c' i.e., 1[?]5o The P : O ratio is a measure of the number of high energy phosphates (i.e., number of ATP molecules) synthesized per atom of oxygen consumed or per molecule of water is producedo The P : O ratio for oxidation of metabolites that yield NADH is 2[?]5 and the ratio for those that yield FADH2 is 1[?]5.